Pelvic fracture is associated with
1. Intraperitoneal bladder rupture
2. Extraperitoneal bladder rupture
3. Anterior urethral injury
4. None

Correct answer: 2. Extraperitoneal bladder rupture

Explanation: Rupture of bladder is mostly seen in public symphisis disruption or public rami fractures. Complications of pelvic fractures: Rupture of urethra (Most common--membranous urethra) Extraperitoneal rupture of bladder Injury to rectum or vagina Injury to major vessels - common iliac artery. Injury to nerves--lumbar sacral plexus Rupture of diaphragm